EEG shows "Sleep Spindles" in this stage of NREM sleep
1. I
2. II
3. III
4. IV

Correct answer: 2. II

Explanation: (B) II > Stage II of NREM sleep is characterized by sleep spindles on EEC. Sleep spindles are bursts of alpha-like, 10-14Hz., 50 mV waves.> When a person falling asleep enters stage I of "NREM, the EEG shows low-amplitude, high frequency waves. As the progression from Stage I to Stage IV of NREM occurs, the frequency of waves decreases while the amplitude increases progressively.